Most common cause of premature death in schizophrenia is?
1. Drug toxicity
2. Nosocomial infection
3. Homicide
4. Suicide

Correct answer: 4. Suicide

Explanation: PREMATURE DEATH IN SCHIZOPHRENIA Life expectancy of patients with schizophrenia is decreased by approximately 15 to 25 years. Suicide is the most important cause of premature death in patients with schizophrenia. There is a 20 fold increased risk of suicide compared to the general population. Suicide attempts may occur without warning or expression of intent. Cancer is the second most frequent cause of mortality in schizophrenics. The rates of metabolic syndrome and cardiovascular disorders are also increased. Ref :Harrison's Principles of Internal Medicine 21st ed